What is the duration of a human cardiac cycle in seconds?
1. 0.4
2. 0.8
3. 1
4. 1.6

Correct answer: 2. 0.8

Explanation: Duration of cardiac cycle (at heart rate of 75/min) is 0.80sec. Out of which duration of systole is 0.27sec and diastole is 0.53sec.